All are among the features of thrombotic thrombocytopenic purpura, EXCEPT:
1. Microangiopathic hemolytic anemia
2. Neurologic findings
3. Fever
4. Splenomegaly

Correct answer: 4. Splenomegaly

Explanation: The pentad of findings in thrombotic thrombocytopenic purpura are microangiopathic hemolytic anemia, thrombocytopenia, renal failure, neurologic findings and fever. Ref: Harrisons principles of internal medicine, Edition -18, Page - 969.